True regarding bupropion is:
1. Dopamine reuptake stimulator
2. It is an antianxiety drug
3. No precipitation of seizures
4. Nicotinic receptor antagonist

Correct answer: 4. Nicotinic receptor antagonist

Explanation: Ans. D: Nicotinic receptor antagonist Bupropion/amfebutamone is an atypical antidepressant and smoking cessation aid. It acts as a norepinephrine and dopamine reuptake inhibitor (NDRI), as well as alpha3 beta4-nicotinic receptor antagonist. Bupropion belongs to the chemical class of aminoketones and is similar in structure to stimulants cathinone and diethylpropion, and to phenethylamines in general. Bupropion is an effective antidepressant on its own but it is particularly popular as an add-on medication in the cases of incomplete response to the first-line selective serotonin reuptake inhibitor (SSRI) antidepressant. Since it does not inhibit serotonin reuptake at all (or very insignificantly), bupropion does not cause weight gain or sexual dysfunction like the SSRI group of antidepressants. It precipitates seizures